A 26-year-old pregnant woman has been detected to have a diastolic murmur in mitral area. Echocardiography reveals mitral valve orifice to be 0.8 cm2. The cause of her murmur is
1. Mild mitral stenosis
2. Severe mitral stenosis
3. Functional murmur
4. Transmitted murmur from the congenital heart disease of the foetus

Correct answer: 2. Severe mitral stenosis

Explanation: Severe mitral stenosis